Continuous contact lens wear may lead to -
1. Giant papillary conjunctivitis
2. Anterior uveitis
3. Nuclear Cataract
4. Trachoma

Correct answer: 1. Giant papillary conjunctivitis

Explanation: Ans. is 'a' i.e., Giant papillary conjunctivitis o Giant Papillary Conjunctivitis (GPC) is the formation of small-sized nodules (called 'papillae', 0.3-1mm size or larger) on the inner side of the eyelids (on the conjunctiva); leading to foreign body sensation, persistent irritation, discharge of watery mucus, among other symptoms.o GPC arises due to a continuous rubbing of the conjunctiva by any foreign body with which it is in constant physical contact. Most commonly this abnormal development is observ ed in regular users of contact lens; hence, it is also called Contact Lens-Induced Papillary Conjunctivitiso This inflammatory condition is a constant annoyance and is often long-standing. The symptoms clear only after the mechanical friction on the eyelid membrane ceases. GPC is not infectious